What is the most common intercostal space used for hepatic biopsy:
1. 5th
2. 6th
3. 7th
4. 8th

Correct answer: 4. 8th

Explanation: Answer is D (8th): The 8th and 9th intercostal spaces are most commonly used intercostal spaces for hepatic biopsy. The right surface of the liver is in contact with the diaphragm opposite the 7th to 11th ribs. In needle biopsy of the liver through the intercostal route, the needle may be inserted through the 6th 7th,8th,9th or 10th right intercostal space in the mid-axillary line. The 8th and 9th intercostal spaces are most commonly used. Insertion in thee or 7th intercostal space may also be used but is associated with risk of injury to the Lung. Needle is typically inserted at the end of expiration (Attempted Apnoea).